In what stage of PID is acute salpingitis with peritonitis considered?
1. Stage 2
2. Stage 3
3. Stage 4
4. Stage 5

Correct answer: 1. Stage 2

Explanation: Acute Salpingitis with peritonitis is seen in stage 2 of PID. Stages of PID: Stage Condition Stage I Acute salpingitis without peritonitis - no adhesions Stage II Acute Salpingitis with peritonitis - Purulent discharge Stage III Acute salpingitis with superimposed tubal occlusion or tubo-ovarian complex Stage IV Ruptured tubo-ovarian abscess Stage V Tubercular salpingitis Ref: Shaw's textbook of Gynaecology 17th edition Pgno: 341